Tick born relapsing fever is/are caused by -
1. Borrelia recurrentis
2. Borrelia duttonii
3. Borrlia burgdorferi
4. All

Correct answer: 2. Borrelia duttonii

Explanation: Ans. is 'b' i.e., Borrelia duttonii